Which of the following could be the indication for a middle aged man posted for a high tracheostomy?
1. Carcinoma
2. TB
3. Tetanus
4. Diphtheria

Correct answer: 1. Carcinoma

Explanation: A high tracheostomy is done above the level of thyroid isthmus. It violates the 1st ring of trachea. Tracheostomy at this site can cause perichondritis of the cricoid cartilage and subglottic stenosis and is always avoided. Only indication for high tracheostomy is carcinoma of larynx because in such cases, total larynx would ultimately be removed and a fresh tracheostome made in a clean area lower down.